Eversion occurs at the following joints -
1. Subtalar
2. Tibiotalar
3. Inferior tibiofibular
4. Ankle

Correct answer: 1. Subtalar

Explanation: Joints taking part in inversion and eversion of foot.
Principal joints- Subtalar, talocalcaneonavicular
Accessory joints- calcaneocuboid, talonavicular